Most common heavy metal poisoning in the world
1. Lead
2. Arsenic
3. Mercury
4. Cadmium

Correct answer: 1. Lead